Glycogen phosphorylase is active in
1. Phosphorylated form
2. Dephosphorylated form
3. Both phosphorylated & dephosphorylated form
4. No rate of phosphorylation

Correct answer: 1. Phosphorylated form

Explanation: The phosphorylase -b is the inactive form. It becomes active on phosphorylation. The active enzyme denoted as phosphorylase -aRef: DM Vasudevan, 7th edition, page no: 127